Pneumothorax could be a complication of:
1. Staphylococcal pneumonia
2. Pneumococcal pneumonia
3. Klebsiella pneumonia
4. Viral pneumonia

Correct answer: 1. Staphylococcal pneumonia

Explanation: a. Staphylococcal pneumonia(Ref: Nelson's 20/e p 2088-2093, Ghai 8/e p 379-381)Pneumothorax could be a complication of Staphylococcal pneumonia, due to rupture of pneumatoceles.